Satellite nodules are seen in -
1. Fungal corneal ulcer
2. Tuberculosis
3. Sarcoidosis
4. Viral ulcer

Correct answer: 1. Fungal corneal ulcer

Explanation: Multiple,small satellite lesions may be present around the ulcer,its a sign in fungal corneal ulcer.Reference:Comprehensive ophthalmology,AK Khurana,6th edition,page no.106